Palatine aponeurosis is:
1. Tendon of levator veli palatine muscle
2. Tendon of Tensor veli palatine muscle
3. A part of musculus uvulae
4. A modification of palatal periosteum

Correct answer: 2. Tendon of Tensor veli palatine muscle